The most favored treatment for a pelvic abscess in cul-de-sac
1. Laparotomy
2. Colpotomy
3. External I and D
4. Antibiotics

Correct answer: 2. Colpotomy

Explanation: The most favoured treatment for a pelvic abscess in cul-de-sac is Posterior Colpotomy in females And Anterior Rectal drainage in Males. Investigation 1st investigation done -Ultrasound IOC - CECT